Bacteriophages are -
1. Bacteria that infects virus
2. Virus that infects bacteria
3. Virus that infects protozoa
4. Bacteria that infects protozoa

Correct answer: 2. Virus that infects bacteria

Explanation: Ans. is 'b' i.e., Virus that infects bacteria * Bacteriophages are viruses that infect bacteria.* Phages play an important role in the transmission of genetic information between bacteria by the process of transduction.* The presence of phage genome integrated with bacterial chromosome confer bacteria certain properties by a process known as phage conversion.* Lambda phase is the prototype of bacteriophage.